Following are the changes during accommodation except
1. Constriction of pupil
2. Dilatation of pupil
3. Convergence of eye ball
4. Increase in the anterior curvature of lens

Correct answer: 2. Dilatation of pupil